Which of the following sites is not involved in a posterior cerebral artery infarct -
1. Midbrain
2. Thalamus
3. Temporal lobe
4. Anterior Cortex

Correct answer: 4. Anterior Cortex